Which of the following is the longest acting oral anticoagulant ?
1. Bishydroxycoumarin
2. Warfarin
3. Acenocoumarol
4. Phenindione

Correct answer: 1. Bishydroxycoumarin

Explanation: Ans. is 'a' i.e., Bishydroxycoumarin Bishydroxycoumarin (Dicumarol) is the longest acting oral anticoagulant. Ethylbiscoumacetate is the shortest acting anticoagulant.